All of the following are true about bipolar disorder except:
1. Prevalence is more amongst females than males
2. Lifetime Prevalance is around 1%
3. Mean age of onset is 21 years
4. Prevalence varies according to socioeconomic status

Correct answer: 1. Prevalence is more amongst females than males

Explanation: The prevalence if bipolar is almost equal in men and women with male to female ratio being 1.1:1 Important points about Bipolar Disorder: Life time prevalence = 1% Males: Female = 1.1 : 1 ICD - 11 classifies bipolar disorder in two types- Bipolar I - mania + depression Bipolar II - Hypomania + depression Mean age of onset Bipolar I - 18 yrs Bipolar II - mid 20s